The hormonal factor responsible for circadian rhythm is formed from which amino acid?
1. Tyrosine
2. Tryptophan
3. Phenylalanine
4. Histidine

Correct answer: 2. Tryptophan

Explanation: Ans. is 'b' i.e., Tryptophan In circadian rhythm maintenance melatonin is involved which is derived from tryptophan.Tryptophan is a precursor for synthesis of niacin (nicotinic acid), serotonin and melatonin.